Antipsychotic drug is:
1. Doxepine
2. Fluoxetine
3. Clozapine
4. All

Correct answer: 3. Clozapine

Explanation: clozapine is a atypical antipsychotic Clozapine, is an atypical antipsychotic medication. It is mainly used for schizophrenia that does not improve following the use of other antipsychotic medications. In those with schizophrenia and schizoaffective disorder it may decrease the rate of suicidal behavior. Ref: KD Tripati 8th ed.